Premalignant lesion of oral cavity includes -a) Erythroplakiab) Fordyce's spotc) Leukoplakiad) Keratoacanthoma e) Aphthous ulcer
1. a
2. bc
3. ac
4. b

Correct answer: 3. ac